Cholangio carcinoma of liver caused by
1. Hepatitis B infection
2. Cirrhosis of liver
3. Alpha - feto protein
4. Clonorchis sinensis infection

Correct answer: 4. Clonorchis sinensis infection

Explanation: risk factor of cholangio carcinoma includes Primary sclerosis cholangitis Fibropolypocystic disease of biliary tree Infestation by Clonorchis sinensis or Opisthorchis viverrini. ROBBINS BASIC PATHOLOGY NIanTH EDITION PAGE 643